A 12-year-old child presented with sore throat since 3 days. Which of the following medium is used to culture the throat swab?
1. Blood agar
2. Choclate agar
3. Stewart medium
4. Lowenstein jensen medium

Correct answer: 1. Blood agar

Explanation: Blood agar is used for the culture and isolation of Streptococcus pyogenes as it is the most common cause of sore throat. Crystal violet blood agar is the selective medium and Pikes medium is the transport media for Streptococcus pyogenes. Reference: Ananthanarayan and Paniker's Textbook of Microbiology Tenth edition